Which of these about 'Silent pelvic inflammatory disease'' is FALSE ?
1. Accidentally diagnosed in asymptomatic patients.
2. Associated with infertility.
3. Associated with tubal adhesions.
4. Associated with acute pain abdomen

Correct answer: 4. Associated with acute pain abdomen

Explanation: Silent Pelvic inflammatory disease Follows continuous or multiple episodes of low grade infection in asymtomatic women Diagnosis given to women with tubal factor infertility who lack a history compatible with upper tract infection Most of these patients have antibodies to chlamydia or nesseria Tubes may be normal, may show adhesions, hydrosalpinx